All of the following hereditary conditions predispose to CNS tumors, except
1. Neurofibromatosis 1 & 2
2. Tuberous sclerosis
3. Von-Hippel-Lindau syndrome
4. Xeroderma pigmentosum

Correct answer: 4. Xeroderma pigmentosum

Explanation: Xeroderma pigmentosum (XP) is a genetic disorder in which there is a decreased ability to repair DNA damage such as that caused by ultraviolet (UV) light. Symptoms may include a severe sunburn after only a few minutes in the sun, freckling in sun exposed areas, dry skin and changes in skin pigmentation.it doesn't cause CNS tumors Ref Harrison20th edition pg 2675